Increase in Pauwel's angle indicate :
1. Good prognosis
2. Impaction
3. More chances of displacement
4. Trabecular alignment disrupted

Correct answer: 3. More chances of displacement

Explanation: REF : MAHESWARI 9TH ED